False about myositis ossificans progressiva (child with heterotopic ossifications) is
1. Pneumonia is common
2. Life longevity is normal
3. Most common site involved is the spine
4. Onset is before 6 year

Correct answer: 2. Life longevity is normal

Explanation: B i.e. Life longevity is normal